Treatment of choice in attention deficit hyperactivity disorder is:
1. Haloperidol
2. Imipramine
3. Alprazolam
4. Methylphenidate

Correct answer: 4. Methylphenidate

Explanation: Ans. D: Methylphenidate Psychomotor stimulants like d-amphetamine, methylphenidate and pemoline have beneficial effects in ADHD, when given for 1-3 months. Methylphenidate is preferred. Attention deficit hyperactivity disorder/ADHD/AD and HD/ADD It is a developmental disorder. It is primarily characterized by "the co-existence of attentional problems and hyperactivity, with each behavior occurring infrequently alone" and symptoms starting before seven years of age. ADHD is the most commonly studied and diagnosed psychiatric disorder in children ADHD is diagnosed two to four times more frequently in boys than in girls Combined medical management and behavioral treatment is the most effective ADHD management strategy, followed by medication alone, and then behavioral treatment. The most common stimulant medications are methylphenidate, dextroamphetamine, and mixed amphetamine salts. Atomoxetine and Guanfacine are non-stimulant drugs approved for the treatment of ADHD.